Functional residual capacity of lung is defined as
1. Volume expired after normal expiration
2. Volume remaining after forced expiration
3. ERV + RV
4. Tidal volume + volume inspired forcefully

Correct answer: 3. ERV + RV

Explanation: The amount of air that remains in lung after a normal expiration.